Median nerve lesion at the wrist causes all of the following Except
1. Thenar atrophy
2. Weakness of Adductor pollicis
3. Weakness of 1st and 2nd lumbricals
4. Weakness of flexor pollicis brevis

Correct answer: 2. Weakness of Adductor pollicis

Explanation: Adductor pollicis is supplied by the ulnar nerve(Refer: Mohindra's Fundamentals of Orthopedics, 2nd edition, pg no. 210, 260)